Lithium toxicity is treated by following methods except:-
1. Acidification of urine
2. Increased hydration
3. Sodium bicarbonate
4. Hemodialysis

Correct answer: 1. Acidification of urine

Explanation: There is no specific antidote for lithium intoxication. Treatment is supportive. Care must be taken to ensure that the patient is not sodium and water depleted. So hydration should be maintained. Sodium bicarbonate can be used to help increase the excretion of lithium. Hemodialysis is most effective method of removing lithiumwhen serum lithium is >4.0 mEq/L